False about granuloma
1. Size lesser than the periapical cyst
2. Volume of injection of radiopaque dye intake is less.
3. Electrophoresis: show faint to moderate pattern in albumin zone
4. Aspiration shows straw coloured fluid

Correct answer: 4. Aspiration shows straw coloured fluid

Explanation: Various methods to differentiate between Periapical Cyst and Granuloma